CEA is a marker for all except -
1. Carcinoma pancreas
2. Carcinoma colon
3. Carcinoma lung
4. Carcinoma prostate

Correct answer: 4. Carcinoma prostate

Explanation: Tumor marker carcinomas CEA colon, pancreas, stomach, breast, liver, lung CA-125 ovary, cervix PSA prostate Thyroglobulin thyroid AFP non-seminomatous testicular tumors,liver, ovary, lung beta-HCG non seminomatous testicular tumors, breast, stomach Alkaline phospatase bone, liver, pancreas, prostate, leukemia CA 19-9 pancreas, stomach, colon TEXT BOOK OF ROBBINS BASIC PATHOLOGY NINTH EDITION PAGE.667